Ideal size of the group in Role - playing is
1. 5
2. 10
3. 25
4. 35

Correct answer: 3. 25